Kinases require:
1. Mn2+
2. Cu2+
3. Mg2
4. Inorganic phosphate

Correct answer: 3. Mg2

Explanation: Mg2